All of the following actions of histamine are mediated through H1 receptors EXCEPT :
1. Release of EDRF from vascular endothelium resulting in vasodilation
2. Direct action on vascular smooth muscle causing vasodilation
3. Bronchoconstriction
4. Release of catecholamines from adrenal medulla

Correct answer: 2. Direct action on vascular smooth muscle causing vasodilation

Explanation: Both H1 and H2 receptors cause vasodilation. H1 receptors are present in the endothelium and cause vasodilation by releasing NO. However, H2 receptors are present on the smooth muscles and cause direct vasodilation.